Which of the following is not a component of mackler's triad for esophageal perforation
1. Chest pain
2. Vomiting
3. Subcutaneous emphysema
4. Aspirational pneumonitis

Correct answer: 4. Aspirational pneumonitis

Explanation: Mackler’s triad consists of chest pain, vomiting and subcutaneous emphysema.